Which of the following has maximum field of vision:
1. Superior
2. Inferior
3. Temporal
4. Nasal

Correct answer: 3. Temporal

Explanation: Ans. (c) TemporalRef : A.K. Khurana 6th ed. /505, Khurana 4th ed./ 481Extent of Normal Visual Field:* Superior: 50* Nasal: 60* Inferior: 70* Temporal: 90-100